Which of the following drugs is most likely to cause additive anemia and neutropenia if administered to an AIDS patient taking zidovudine ?
1. Acyclovir
2. Amantadine
3. Ganciclovir
4. Stavudine

Correct answer: 3. Ganciclovir